The most common inherited cause of renal disease is-
1. Alport's syndrome
2. Polycystic kidney disease
3. Hypospadias
4. PUJ obstruction

Correct answer: 2. Polycystic kidney disease

Explanation: Autosomal dominant Polycystic kidney disease by far the most common adult onset single gene form of adult onset kidney disease . Ref:Harrison 20 th edition pg no 2155.